A patient treated for infertility with clomiphene citrate presents with sudden onset of abdominal pain and distension with ascites. Most probable diagnosis is:
1. Uterine rupture
2. Ectopic pregnancy rupture
3. Multifetal pregnancy
4. Hyperstimulation syndrome

Correct answer: 4. Hyperstimulation syndrome

Explanation: Ovarian hyperstimulation syndrome (OHSS) is a clinical symptom complex associated with ovarian enlargement resulting from exogenous gonadotropin therapy. Symptoms may include abdominal pain and distension, ascites, gastrointestinal problems, respiratory compromise, oliguria, hemoconcentration, and thromboembolism. Predisposing factors for OHSS include, Multifollicular ovaries such as with PCOS Young age High estradiol levels during ovulation induction Pregnancy Ref: Hoffman B.L., Schorge J.O., Schaffer J.I., Halvorson L.M., Bradshaw K.D.,Cunningham F.G., Calver L.E. (2012). Chapter 20. Treatment of the Infertile Couple. In B.L. Hoffman, J.O. Schorge, J.I. Schaffer, L.M. Halvorson, K.D. Bradshaw, F.G. Cunningham, L.E. Calver (Eds), Williams Gynecology, 2e.